The CFTR gene associated with cystic fibrosis is located on chromosome:
1. 4
2. 5
3. 7
4. 12

Correct answer: 3. 7

Explanation: CFTR gene associated with cystic fibrosis is located on chromosome 7 In patients with cystic fibrosis blockage of the movement of ions and, therefore, water into and out of cells leads to the production of thick mucus. Absent vas deferens in males explains infertility in cystic fibrosis.